A building contractor suddenly complains of lower backache which increase on bending down He has
1. Renal colic
2. Tuberculosis of spine
3. Disc prolapse
4. Fibrositis

Correct answer: 3. Disc prolapse

Explanation: C i.e. Disc prolapse